All of the following heart sounds occur shortly aftei S2except-
1. Opening snap
2. Pericardial knock
3. Ejection click
4. Tumor plop

Correct answer: 3. Ejection click

Explanation: Ejection click occurs due to semilunar valve opening with high pressure. Eg: AS, PS. It is high pitched. Opening snap : 80ms after S2 Pericardial knock : 100 ms after S2 Ref: Harrison 20th edition 1445